Maximum progression to pancreatic carcinoma occurs in?
1. Intraductal papillary mucinous neoplasms
2. Pseudopancreatic cyst
3. Serous cystic neoplasms
4. Mucinous cystic neoplasms

Correct answer: 1. Intraductal papillary mucinous neoplasms

Explanation: Ans. (a) Intraductal papillary mucinous neoplasms(Ref: Robbins 9th/pg 892-894; 8th/pg 900-903)A. Intraductal papillary mucinous neoplasmsIPMNs progress to an invasive cancerB. Solid-pseudopapillary neoplasmsUsually benignC. Serous cystic neoplasmsAlways benignD. Mucinous cystic neoplasms1/3rd associated with invasive adenocarcinoma